Drugs causing AKI except
1. Diclofenac
2. Amphotericin B
3. Amoxicillin
4. Aminoglycosides

Correct answer: 3. Amoxicillin

Explanation: Drugs causing AKI are Aminoglycosides Iodinated contrast PPI'S, NSAID's Cisplatin Angiotensin receptor blockers and ace inhibitors. Cyclosporine. Rifampicin Acyclovir Methotrexate Calcineurin inhibitors ref:HARRISON 20 th edition pg no. 2099 tab 304-1,2101 fig 304.3